Serial interval is a measure of?
1. Sensitivity
2. Specificity
3. Incubation period
4. Positive predictive value

Correct answer: 3. Incubation period

Explanation: Ans. (c) Incubation periodRef: Park textbook 22nd ed 196